Secondaries in the neck with no obvious primary malignancy is most often due to -
1. Ca. Stomach
2. Ca. Larynx
3. Ca. Nasopharynx
4. Ca. Thyroid

Correct answer: 3. Ca. Nasopharynx